Medial branch of External Carotid artery is
1. Ascending Pharyngeal artery
2. Lingual artery
3. Occipital artery
4. Facial artery

Correct answer: 1. Ascending Pharyngeal artery

Explanation: Branches of the External carotid artery:Anterior: Superior Thyroid, Lingual and FascialPosterior: Occipital and Posterior auricularMedial: Ascending Pharyngeal arteryReference: Chourasia; 6th edition; 101 page